Malabsorption syndrome features include all, except:
1. Anemia
2. Constipation
3. Tetany
4. Steatorrhea

Correct answer: 2. Constipation

Explanation: Iron absorption occurs in duodenum which is affected in sprue Due to fat malabsorption steatorrhea and vitamin D deficiency results. The symptoms and signs of malabsorption depend upon the length of small intestine involved and the age at which the patient presents. Infants (< 2 years) are more likely to present with typical symptoms of malabsorption, including diarrhea, weight loss, abdominal distention, weakness, muscle wasting, or growth retardation. However, they may also be watery and frequent in number (up to 10-12 daily).